18 year old Abodh is on treatment for his abnormal lipid profile blood tests. All of the following statements are true about familial hypercholesterolemia, except
1. Cutaneous xanthomas on the hands, wrists, elbows present
2. Total cholesterol levels can be higher than 1000 mg/dL
3. Accelerated atherosclerosis is a devastating complication
4. Patients with receptor-defective LDL receptor defects have the worst prognosis

Correct answer: 4. Patients with receptor-defective LDL receptor defects have the worst prognosis

Explanation: Patients with homozygous FH present in childhood with cutaneous xanthomas on the hands, wrists, elbows, knees, heels. Total cholesterol levels can be higher than 1000 mg/dL. The devastating complication of homozygous FH is accelerated atherosclerosis, which can result in disability and death in childhood. Patients with receptor-defective LDL receptor defects have a better prognosis but almost invariably develop clinically apparent atherosclerotic vascular disease by age 30, and often much sooner. Ref: Harrisons Principles of Internal Medicine, 18th Edition, Page 3149